Most common cause of nontraumatic intracerebral hemorrhage is -
1. Hypertension
2. Cerebral amyloid angiopathy
3. Anticoagulant therapy
4. Rupture of aneurysm

Correct answer: 1. Hypertension

Explanation: Ans. is 'a' i.e., Hypertension * Intracranial hemorrhage is defined as the pathologic distribution of blood within the calvaria. It is subdivided into intra-axial (intracerebral) and extra-axial hemorrhage.* Extra-axial hemorrhage includes blood into epidural, subdural and subarachnoid spaces. Intra- axial hemorrhage includes blood into the intraparenchymal or intraventricular spaces.* Intracranial hemorrhage is believed to occur in 10 - 30% of all strokes and is predominantly intraparenchymal in such cases.* Hypertension is the most common cause underlying most nontraumatic intracerebral hemorrhage (50 - 60%).* Cerebral amyloid angiopathy is the second most common cause of nontruamatic intraparenchymal hemorrhage and is responsible for 10 - 12% of all hemorrhagic strokes.